A 38 year old gentleman reports of decreased hearing in the right ear for the last two years. On testing with a 512 Hz tuning fork the rinne's test without masking is negative on the right ear and positive on the left ear. With the weber's test the tone is perceived as louder in the left ear. The most likely patient has -
1. Right conductive hearing loss
2. Right sensorineural hearing loss
3. Left sensorineural hearing loss
4. Left conductive hearing loss

Correct answer: 2. Right sensorineural hearing loss